All of the following are uses of mifepristone EXCEPT:
1. Termination of pregnancy
2. Post coital contraception
3. Post partum hemorrhage
4. Cushing's syndrome

Correct answer: 3. Post partum hemorrhage